In which of the following condition is OCP contraindicated ?
1. Heart disease
2. Thromboembolism
3. Breast cancer
4. All of the above

Correct answer: 4. All of the above

Explanation: ABSOLUTE CONTRAINDICATIONS OF OCP: *Known or suspected breast cancer *Severe hypertriglyceridemia/hypercholestrolemia *Undiagnosed vaginal bleeding *Thrombophlebitis/thromboembolism , cerebral and cardiac disorders *Pregnancy *Hypertension (moderate to severe) *Impaired liver RELATIVE CONTRAINDICATIONS OF OCP: *Migraine with aura *Diabetes mellitus/gestational diabetes *Hypertension *Smoking *Uterine lieomyoma *Elective surgery *Seizure disorder *Sickle cell disease *Gall bladder disease *SLE *Mitral valve prolapse *Hyperlipidemia *Hepatic disease